School of fish appearance is characteristic of:
1. Bordetella pertussis
2. Yersinia enterocolitica
3. Haemophillus ducreyi
4. Legionella

Correct answer: 3. Haemophillus ducreyi

Explanation: Ans. is. 'c' i. e., Haemophillus ducreyi